L.E. Cell phenomenon in peripheral blood is seen in:
1. Rheumatic heart disease
2. Infective endocarditis
3. Ischemic heart disease
4. Systemic Lupus Erythernatosus

Correct answer: 4. Systemic Lupus Erythernatosus

Explanation: The addition of blood serum from a person under suspicion to the buffy coat of normal blood is the basis for L.E .cell phenomenon. If the patient is L.E. -we, then typical "LE" Cell develop. The cell consists of rosette of neutrophils surrounding a pale nuclear mass, derived from a Lymphocyte.